Painless burn in hand is a characteristic feature of-
1. Syrinyomgelia
2. Thalamic syndrome
3. Cord compression
4. Systemic-lupus-erythematosis

Correct answer: 1. Syrinyomgelia